Smallest transverse diameter of fetal head:
1. Biparietal
2. Bitemporal
3. Bimastoid
4. Mentovertical

Correct answer: 3. Bimastoid

Explanation: Ans. (c) Bimastoid